Trichophyton species which is zoophilic -
1. T. tonsurans
2. T. violaceum
3. T. schoenleinii
4. T. mentagrophytes

Correct answer: 4. T. mentagrophytes

Explanation: Zoophilic dermatophytes are the species which primarily infect animals and occasionally transmitted to humans.


Zoophilic species of Trichophyton are T. mentagrophytes and T. verrucosum.


Other zoophilic species of dermatophytes is M. canis.